Which iodine isotope is used for treatment of carcinoma of thyroid?
1. Iodine 131
2. Iodine 123
3. Iodine 213
4. All of the above

Correct answer: 1. Iodine 131

Explanation: Ans. (a) Iodine 131Ref: Bailey & Love 26th ed. / 768The initial treatment for cancer of the thyroid is surgical. A consensus approach might be to perform a total thyroidectomy if the primary tumor is larger than 1 cm in diameter or if there is extra-thyroidal involvement or distant metastases. Clinically evident lymphadenopathy should be removed with a neck dissection. If the primary tumor is less than 1 cm in diameter, a unilateral lobectomy might be considered. About 4-6 weeks after surgical thyroid removal, patients must have radioiodine to detect and destroy any metastasis and any residual tissue in the thyroid